All of the following are true about Krukenberg's tumor except:
1. Has a rough surface
2. Shape of ovary is maintained
3. Usually bilateral
4. Arises usually form stomach carcinoma

Correct answer: 1. Has a rough surface